Most accurate assessment of gestational age by USG is done by
1. Femur length
2. Gestational sac size
3. Menstrual history
4. Crown rump length

Correct answer: 4. Crown rump length

Explanation: D i.e. Crown rump length